Denominator in Incidence rate is?
1. Total observed population
2. Total population at risk in a year
3. Total live births
4. Total new cases in a year

Correct answer: 2. Total population at risk in a year

Explanation: ANSWER: (B) Total population at risk in a yearREF: Park's 22 Ed page 58Indirect repeat Community medicine Post diploma June 2012